NARP syndrome is seen in
1. A. Mitochondrial diseases
2. B. Glycogen storage diseases
3. C. Lysosomal storage diseases
4. D. Lipid storage diseases

Correct answer: 1. A. Mitochondrial diseases

Explanation: NARP syndrome (neuropathy ,ataxia, & retinitis pigmentosa) is a condition related to changes in mitochondrial DNA Refer Harrison 17/316-317 Robbins 8/1328